A robust male baby with vigorous feeding and immediate vomiting at 2 months of age. Most probable diagnosis is:
1. Paralytic ileus
2. Hirschsprung's disease
3. Brain tumor
4. Congenital hypertrophic pyloric stenosis

Correct answer: 4. Congenital hypertrophic pyloric stenosis

Explanation: Ans is 'd' i.e. Congenital hypertrophic pyloric stenosis